Tanerella forsythus is a periodontal pathogen
1. Gram positive, non-obligate
2. Non-pleomorphic rod
3. Non - obligate anaerobe
4. Non-motile, spindle shaped organism

Correct answer: 4. Non-motile, spindle shaped organism